Health status of a child under 5 years of age will be adversely affected by all of the following, EXCEPT:
1. Malnutrition
2. Low birth weight
3. Maternal Hb of 11gm%
4. Infections

Correct answer: 3. Maternal Hb of 11gm%

Explanation: Out of all the options given, maternal Hb of 11gm% is the best answer as although maternal undernutrition and anemia (Hb As per Federation of Obstetrics and Gynaecological Society Hb ICMR grading of severity of anemia: Mild - 10.0 - 10.9g/dl Moderate - 7 - 7.9g/dl Severe - <7g/dl Very Severe - <4g/dl Ref: Essential of Pediatrics By O P Ghai, 6TH Edition, Pages 1-2; Clinical Obstretics By S. Gopalan, Sarala and Jain, Vanita, 10th Edition, Page 147; Management of High Risk Pregnancy : A Practical Approach By S. S. Trivedi, SS Trivedi, MS FICOG and Manju Puri, M. Puri, Page 274